Hurt includes all except -
1. Physical pain
2. Mental pain
3. Infirmity
4. Disease

Correct answer: 2. Mental pain

Explanation: the synopsis of forensic medicine & toxicology;Dr k.s narayan reddy; 28th edition; pg.no. 154 . Hurt means bodily pain,disease or infirmity caused to any person .